Which of the following is the most common cause of chronic iridocyclitis in children?
1. Juvenile idiopathic arthritis
2. SLE
3. Sjogren's Syndrome
4. Behcet's disease

Correct answer: 1. Juvenile idiopathic arthritis

Explanation: Ans. is 'a' i.e., Juvenile idiopathic arthritis o The most frequent cause of chronic intraocular inflammation among children is juvenile idiopathic arthritis (JIA)- associated uveitis.